Drug of choice for psychosis in Parkinson's disease is:
1. Clozapine
2. Haloperidol
3. Lithium
4. Risperidone

Correct answer: 1. Clozapine

Explanation: If a patient with Parkinson's disease develops psychotic symptoms, the treatment becomes complicated as most of the anti psychotics cause drug induced Parkinsonism. Since clozapine has minimal extrapyramidal side effects such as parkinsonian side effects, it is preferred.